Which of the following is produced by Carcinoid tumor?
1. G.A.B.A
2. Serotonin
3. Epinephrine
4. Nor-epinephrine

Correct answer: 2. Serotonin

Explanation: Ans. (b) SerotoninRef : Harrison 19th ed. / 564-65* Argentaffin cells in Carcinoid produce 5HT derivatives like serotonin. Epinephrine and norepinephrine are produced by chromaffin cells which are seen in phaeochromocytoma.